A soft granuloma is typically found in -
1. Amoeboma
2. Leprosy
3. Tuberculosis
4. Gumma

Correct answer: 3. Tuberculosis

Explanation: Soft granuloma (soft tubercle) is seen in TB.